Dowry death investigation is done by
1. Magistrate
2. Sub-inspector
3. Police
4. Medical officer

Correct answer: 1. Magistrate

Explanation: Inquest: inquiry into the cause of death
• Police Inquest
■ Most common type of inquest in India
■ Investigating officer usually is sub inspector or officer not below the rank of (senior) head constable.
Magistrate Inquest: Court of Trail • Usually conducted by DM, SDM or Executive Magistrate (i.e. collector, Deputy Collector or Tahsildar)
• Magistrate inquests are usually done in following circumstances:
■ Dowry deaths i.e. unnatural deaths within 7 years of marriage
■ Death in prison
■ Death in police custody or interrogation or during police firing
■ Death in any psychiatric hospital
• Exhumation i.e. digging out of an already buried body also done upon order of magistrate. Coroner's Inquest: Court of inquiry
• Coroner is an advocate, attorney, pleader, or first class magistrate with 5 years experience or metropolitan magistrate
• Coroner court is a court of inquiry & accused need not be present.
• Coroner court can’t impose fine or punishment; but it can punish those guilty of contempt of his court when the offence is committed in the premises of his court (i.e. city limit only)
• In India it is practiced only in Mumbai